Essential fatty acids are helpful in controlling which of the following?
1. Atherosclerosis
2. Nephritis
3. Diabetes Mellitus
4. Oedema

Correct answer: 1. Atherosclerosis

Explanation: Essential Fatty Acids (EFA) are helpful in controlling atherosclerosis. Essential fatty acids are constituents of phospholipids. Phospholipids are present in lipoproteins. Lipoprotein with maximum phospholipid is HDL. HDL prevents atherosclerosis. So we can say that EFA prevent atherosclerosis.